Which among the following is the most common chromosomal anomaly encountered in spontaneously aborted foetuses?
1. Trisomy 13
2. Trisomy 18
3. Trisomy 21
4. Trisomy 16

Correct answer: 4. Trisomy 16

Explanation: Among the spontaneously aborted foetuses, autosomal trisomies are the most common chromosomal caus. Within this category, trisomy 16 is the most frequent The recurrence risk of trisomy 16 is negligible in subsequent pregnancies